Normal glomerular capillary pressure:
1. 15
2. 25
3. 35
4. 45

Correct answer: 4. 45

Explanation: Ans. D: 45